Tattoing in entry wound of a firearm injury is due to-
1. Burning
2. Smoke
3. Gun powder
4. Wads

Correct answer: 3. Gun powder

Explanation: Ans. is 'c' i.e., Gun powder AssociateInjury causedRange1. FlameBuring (Singeing) of hair Buring/melting/ironing of clothesShot gun -15 cm Rifled weapon - 8 cm2. HeatScrotching of skinShot gun -15 cm Rifled weapon - 8 cm3. Smoke and carbon particlesBlackeing Smoke deposition (Smudging/fouling)30 cm4. Gun powder (unburnt and partly burnt)Tattooing (stippling/pepping)60 - 90 cm5. Wads (in shotgun)Abrasion/contusion5 yards